All of the following are true regarding fracture of lateral condyle of humerus except
1. Usually seen at 6-10 years of age
2. Results in Gun stock deformity
3. Cubitus valgus occurs
4. Tardy ulnar nerve palsy is seen

Correct answer: 2. Results in Gun stock deformity

Explanation: Refer results in gun stock deformity. Gun stock deformity occurs as a result of Supracondylar fracture of humerus